Which of the following is used to test the efficiency of sterilization in an autoclave?
1. Clostridium tetani
2. Bacillus stearothermophilus
3. Bacillus pumilus
4. Bacillus cereus

Correct answer: 2. Bacillus stearothermophilus

Explanation: Autoclave: B. stearothermophillus
Hot air oven: Clostridium tetani nontoxigenic strain